Following are more common in multipara woman than primipara except :
1. Anemia
2. Placenta previa
3. PIN
4. None of the above

Correct answer: 3. PIN

Explanation: Ans. is c i.e. PIH Disorders most common in Multiparae during Pregnancy : * Anomie Abortion * H. mole * Twins (5th gravida onwards) * Placenta previa * Abruptio placentae * Rh lsoimmunization * Prematurity * Precipitate labour During Labour : * Cord prolapse * Cephalopelvic disproportion * Obstructed labour * Rupture uterus * Post partum hemorrhage * Shock * Operative interference Disorders most common in Nullipara : * Hyperemesis gravidarum * PIH * Pyelonephritis in pregnancy